Live part of hydatid cyst?
1. Pericyst
2. Ectocyst
3. Endocyst
4. None of the above

Correct answer: 3. Endocyst

Explanation: Ans. C. Endocyst. (Ref Bailey and Love 25th/pg. 56)Endocyst is Live part of hydatid cyst.HYDATID CYSTThe Hydatid cyst is characterised by three layers, an outer pericyst derived from compressed host organ tissues, an intermediate hyaline ectocyst which is non-infective and an inner endocyst that is the germinal membrane and contains viable parasites which can separate forming daughter cysts.A variant of the disease occurs in colder climates caused by Echinococcus multilocularis, in which the cyst spreads from the outset by actual invasion rather than expansion.